Bagassosis is caused due to inhalation of:
1. Coal dust
2. Cotton fibre
3. Free silica
4. Sugarcane dust

Correct answer: 4. Sugarcane dust

Explanation: Bagassosis is caused by inhalation of bagasse or sugarcane dust. Bagassosis is caused due to thermophilic actinomycete, thermoactinomyces sacchari. Ref: Park 21st edition, page: 747.